Most common extra intestinal manifestation of amoebiasisis
1. Amoebic liver abscess
2. Pleural effusion
3. Atelactasis
4. Cardiac tamponade

Correct answer: 1. Amoebic liver abscess

Explanation: Ans. is 'a' i.e., Amoebic liver abscess * Amoebic Ever abscess is the most common extraintestinal manifestation of amebiasis. Disease begins when E. histolytica trophozoites penetrate through the colonic mucosa, travel through the portal circulation, and reach the liver.* Most individuals with amebic liver abscess do not have concurrent signs or symptoms of colitis, and most do not have E. histolytica trophozoites in their stools.* The classic presentations of amebic liver abscess are right-upper-quadrant pain, fever, and hepatic tenderness.* The most common laboratory findings are leukocytosis (without eosinophilia), an elevated alkaline phosphatase level, mild anemia, and an elevated erythrocyte sedimentation rate.